Incidence of a disease is 4 per 1000 of population with duration of 2 years. Calculate the prevalence?
1. 8/1000
2. 4/1000
3. 2/1000
4. 6/1000

Correct answer: 1. 8/1000

Explanation: Prevalence = (Incidence Rate) x (Average Duration of Disease)